Which of the following childhood disorder improves with increase in age -
1. Conduct disorder
2. Emotional problems
3. Temper tantrum
4. Sleep disorder

Correct answer: 3. Temper tantrum

Explanation: Ans. is 'c' i.e., Temper tantrum Temper tantrum reaches its peak point during second and third year of life and gradually subsides in between 3 to 6 years as the child learns to control his negativism and complies to the requests of others.